Cells seen in cutaneous T cell lymphoma are called
1. Councelmen bodies
2. Barr bodies
3. Sezary cells
4. Dohle bodies

Correct answer: 3. Sezary cells

Explanation: Ans is 'c' i.e. Sezary cellsSezary cells (pleomorphic abnormal T cell with the characteristic cerebriform nuclei) are characteristic feature of Sezary syndrome (late stage of cutaneous T cell lymphoma).